Craniotabes is seen in following except –
1. Rickets
2. Syphilis
3. Osteogenesis imperfecta
4. Thalassemia

Correct answer: 4. Thalassemia